A 39-year-old man has had several weeks of fever, weight loss, and lack of energy. Three days prior to the assessment, he developed a left foot drop. Physical examination confirms left peroneal nerve damage and a bilateral sensory peripheral neuropathy in both legs. Laboratory evaluation reveals ESR of 105 mm/h, neutrophilia of 14,000, and a negative serologic test for ANCA. Eosinophil count is normal. Angiography reveals small aneurysms of the celiac and renal arteries.For the above patient with vasculitis syndrome, select the most likely diagnosis.
1. polyarteritis nodosa (PAN)
2. Churg-Strauss disease
3. Henoch-Schonlein purpura
4. vasculitis associated with infectious diseases

Correct answer: 1. polyarteritis nodosa (PAN)

Explanation: PAN is a multisystem, necrotizing vasculitis of small-and medium-sized muscular arteries. Aneurysmal dilations of the arteries are characteristic. Nonspecific signs and symptoms are the usual method of presentation. Renal involvement is clinically present in 60% of cases and is the most common cause of death in untreated cases.